Which type of vaccine is MMR
1. Live attenuated
2. Killed
3. Toxoid
4. Subunit

Correct answer: 1. Live attenuated

Explanation: .
MMR vaccine is a mixture of live attenuated strains of three viruses causing mumps,measles and rubella.Children should get 2 doses of MMR vaccine: First Dose: 12 to 15 months of age Second Dose: 4 to 6 years of age (may be given earlier, if at least 28 days after the 1st dose)

ref;park's textbook of preventive and social medicine,22 nd edition,pg no 137